High frequency audiometry uses frequency higher than the frequency region required to understand speech. It is used to monitor which of the following?
1. Otosclerosis
2. Ototoxicity
3. Otospongiosis
4. Meniere's disease

Correct answer: 2. Ototoxicity

Explanation: High-frequency audiometry is specifically for ototoxicity monitoring, comprises air conduction thresholds from 10,000 to 20,000 Hz. Most ototoxic hearing losses will first occur in that frequency region, which is higher than the speech range.